Drug of choice for renal colic -
1. Methadone
2. Pentazocine
3. Voveran
4. Piroxican

Correct answer: 3. Voveran